The most common complication of Sub-valvular Aortic Stenosis is:
1. Aortic Regurgitation
2. Mitral Regurgitation
3. Tricuspid regurgitation
4. Pulmonary Regurgitation

Correct answer: 1. Aortic Regurgitation

Explanation: Answer is A (Aortic Regurgitation) Aortic regurgitation is the most common complication of subaortic stenosis. Aortic regurgitation is the most common complication of subaortic stenosis occurring in more than 50% of patients. Aortic Regurgitation is believed to be caused from Valvular damage due to the high-pressure Subvalvular systolic jet originating at the level of stenosis.